A 65 year old lady underwent mastectomy for Carcinoma breast. Later she developed frontal headache, pain in temple region and around eye. Her ESR is 55 mm/hour. What is the most probable diagnosis?
1. Cavernous sinus thrombosis
2. Meningeal metastasis
3. Frontal sinusitis
4. Giant cell arteritis

Correct answer: 4. Giant cell arteritis

Explanation: GIANT CELL ARTERITIS Headache, scalp tenderness, visual symptoms, jaw claudication, or throat pain The temporal artery is usually normal on physical examination but may be nodular, enlarged, tender, or pulseless Blindness Results from occlusive arteritis of the posterior ciliary branch of the ophthalmic artery Ischemic optic neuropathy may produce no funduscopic findings for the first 24-48 hours after the onset of blindness Asymmetry of pulses in the arms, a murmur of aortic regurgitation, or bruits heard near the clavicle resulting from subclavian artery stenoses identify an affected aorta or its major branches Forty percent of patients with giant cell arteritis have nonclassic symptoms at presentation, primarily respiratory tract problems (most frequently dry cough), mononeuritis multiplex (most frequently with painful paralysis of a shoulder), or fever of unknown origin The fever can be as high as 40degC and is frequently associated with rigors and sweats Unexplained head or neck pain in an older patient may signal the presence of giant cell arteritis Diagnosis An elevated ESR, with a median result of about 65 mm/h, occurs in more than 90% of patients with polymyalgia rheumatica or giant cell arteritis Magnetic resonance angiography or CT angiography establishes the diagnosis by demonstrating long stretches of narrowing of the subclavian and axillary arteries Imaging of the temporal artery with ultrasound, MRI, or CT angiography can sometimes obviate the need for biopsy Temporal artery biopsy -Diagnostic findings of giant cell arteritis may still be present 2 weeks (or even considerably longer) after starting corticosteroids . TREATMENT The urgency of early diagnosis and treatment in giant cell arteritis relates to the prevention of blindness When a patient has symptoms and findings suggestive of temporal arteritis, therapy with prednisone, 60 mg daily orally, is initiated immediately Prednisone should be continued in a dosage of 60 mg/day for 1-2 months before tapering Intravenous pulse methylprednisolone (eg, 1 g/day for 3 days) may help patients with visual loss and may increase chance of remission; however, data supporting this recommendation are preliminary Low-dose aspirin (~81 mg/day orally) may reduce the risk of visual loss or stroke and should be added to prednisone Tocilizumab, an anti-interleukin-6 receptor monoclonal antibody Phase 2 clinical trials have shown that patients initially treated withtocilizumaband prednisone were able to be tapered off prednisone faster than those who were treated with prednisone alone After 1 year of treatment,tocilizumabachieves corticosteroid-free remission in approximately 50% of patients